A patient presents with fever for 3 weeks. On examination, he is observed to have splenomegaly. Ultrasonography reveals a hypoechoic shadow in spleen near the hilum. Gram-negative bacilli are isolated on blood culture. Which of the following is the most likely causative organism
1. Cytomegalovirus
2. Toxoplasmosis
3. Salmonella
4. Lymphoma virus

Correct answer: 3. Salmonella

Explanation: A hypoechoic mass seen in hilum is a splenic abscess which is due to the infected splenic embolus or in association with typhoid or paratyphoid fever which is caused by Salmonella typhi. Bailey and love's 24 th edition pg no.1088